Karyotype in Kleinfilters syndrome is:
1. 47XXY
2. 45X0
3. 46XXY
4. 45XXX

Correct answer: 1. 47XXY

Explanation: 47XXY